Hard tick causes a/e-
1. Relapsing fever
2. KFD
3. Indian tick typhus
4. Tularemia

Correct answer: 1. Relapsing fever

Explanation: Vector Diseases transmitted Soft tick Relapsing fever, Q fever, KFD (outside India) Hard tick Tularemia, Babesiosis, KFD (India), Tick paralysis, Tick encephalitis, Indian tick typhus, Tick hemorrhagic fever, Rocky Mountain spotted fever. Park's Textbook of Preventive and Social Medicine, 25th edition, Page No. 840